Most symmetric tooth in oral cavity
1. Lower Central Incisor
2. Lower Lateral incisor
3. Upper Central incisor
4. Upper Lateral incisor

Correct answer: 1. Lower Central Incisor